Major function of Vitamin E in the body -
1. Regulation of energy metabolism
2. Carboxvlation reaction
3. Blood clotting
4. Protection of biological membrane from free radical damage

Correct answer: 4. Protection of biological membrane from free radical damage

Explanation: Ans. is 'd'i.e., Protection of biological membrane from free radical damage o The most important function of vitamin E in human beings is to act as an anti-oxidant.o It prevents the oxidation of other antioxidants, e.g, carotenes, vitamin A and vitamin C.o Vitamin E is the lipid-soluble antixodant in cell membranes and plasma lipoproteins.o The main function of vitamin E is as a chain-breaking, free radical-trapping antioxidant in cell membranes and plasma lipoproteins by reacting with lipid peroxide radicals formed by peroxidation of polyunsatured fatty acid,o Vitamin E prevents rancidity of fats due to its antioxidant action.